Wolfe Graft is
1. Thin split thickness graft
2. Full thickness skin graft
3. Local flap
4. Free flap

Correct answer: 2. Full thickness skin graft

Explanation: Split-thickness skin graftsCalled Thiersch grafts. They are used to cover all sizes of wound, are of limited durability and will contract.Full-thickness skin grafts Called Wolfe graftsUsed for smaller areas of skin replacement where good elastic skin that will not contract is required (such as fingers, eyelids, facial parts).Ref: Bailey and love 27e pg: 636